Which vitamin is given in Type 2B Familial Hyperlipidemia:
1. Pantothenic acid
2. Riboflavin
3. Nicotinic acid
4. Thiamine

Correct answer: 3. Nicotinic acid

Explanation: Nicotinic acid in high doses : Antihyperlipidemic Inhibits hormone sensitive Lipase So triglycerides from adipose tissue are not broken down and free fatty acids do not reach blood and liver. This leads to | VLDL and LDL. HDL levels | by decreasing its catabolic rate.. Treatment Increased TG Increased cholesterol Fibrates Statins Omega -3 FA Bile acid sequestrants High dose Nicotinic acid LDL apharesis(selective removal of LDL from blood)